A child presenting with recurrent respiratory tract infection, mouth breathing & decreased hearing treatment is -a) Tonsillectomyb) Adenoidectomyc) Grommet insertiond) Myringotomye) Myringoplasty
1. abc
2. acd
3. ac
4. bcd

Correct answer: 4. bcd